A lady present with U/L hydronephrosis on USG. She is asymptomatic. Ureteropelvic drainage is normal. What is/are treatment modality for her
1. Pyleroplasty
2. Analgesia SOS
3. Nephrectomy
4. DJ stenting

Correct answer: 2. Analgesia SOS

Explanation: The indications for operation are bouts of renal pain, increasing hydronephrosis, evidence of parenchymal damage and infection. Nephrectomy should be considered only when the kidney has largely lost most of its function (<10% split function). Mild cases should be followed by serial ultrasound scans and operated upon if dilatation is increasing ( ref : Bailey 27th ed , chapter 76 , pg no : - 1412 ) UPJO ( uretopelvic junction obstruction ) may not become apparent until middle age or later . Occasionally, if the patient is asymptomatic and the physiologic significance of the obstruction seems indeterminate, careful observation with serial follow-up renal scans is appropriate. ( ref :- Campbell-Walsh urology 11th ed , chapter 49 , pg no 1408 )